Which of the following is antifibrinolytic drug -
1. Tenecteplase
2. Heparin
3. Urokinase
4. Tranexaemic acid

Correct answer: 4. Tranexaemic acid

Explanation: Ans. is 'd' i.e., Tranexaemic acid Drugs affecting the lysis of fibrin clot|| |Fibrinolytic drugs Antifibrinolytic drugso Streptokinaseo Alteplase (rt-PA)o Tenecteplaseo Urokinaseo Reteplaseo Recombinant prourokinaseo Epsilon aminocaproic acido Tranexaemic acido Aprotinin